A patient with history of choledocholithiasis presents with elevated conjugated bilirubin. Ultrasound reveals a dilated biliary system upto the terminal part. In case of suspicion of an ampullary obstructive calculus which of the following investigations would be most sensitive?
1. PTC
2. MRCP
3. Xray abdomen
4. Endoscpic USG

Correct answer: 4. Endoscpic USG

Explanation: EUS- Most sensitive method to detect ampullary stones